Trantas spots are seen in -
1. Vernal conjunctivitis
2. Eczematous conjunctivitis
3. Ophthalmia nodosa
4. Tularemia

Correct answer: 1. Vernal conjunctivitis

Explanation: Tranta's spots (Horner tranta's spots) are descrete white raised dots along the limbus and are composed of degeneraed eosinophils. Ref: Parson's 22nd/e p.180-181 & 21st/e p.178; Khurana 7th/e p.81 & 4th/e p.74,75